Under NPCB, screening of school children is first done by -
1. School teachers
2. Village health guide
3. Ophthalmologic assistant
4. Medical officer

Correct answer: 1. School teachers

Explanation: *Children are being first screened by trained teachers. *Children suspected to have refractive error are seen by ophthalmic assistants and corrective spectacle are prescribed. Ref- Park's textbook of Preventive and social medicine 24th edition.